Palatine Tonsils are lined by
1. Non keratinized Stratified squamous epithelium
2. Ciliated columnar epithelium
3. Cuboidal epithelium
4. Transitional epithelium

Correct answer: 1. Non keratinized Stratified squamous epithelium

Explanation: Palatine tonsil Palatine tonsils are two in number. Each tonsil is an ovoid mass of lymphoid tissue situated in the lateral wall of oropharynx between the anterior and posterior pillars. Actual size of the tonsil is bigger than the one that appears from its surface as parts of tonsil extend upwards into the soft palate, downwards into the base of tongue and anteriorly into palatoglossal arch. A tonsil presents two surfaces--a medial and a lateral, and two poles--an upper and a lower. Medial surface of the tonsil is covered by nonkeratinizing stratified squamous epithelium. Ref:- Dhingra; pg num:-257